Best method to deliver arms in breech :
1. Lovset's method
2. Smellie - Viet
3. Pinard's maneuver
4. Any of the above

Correct answer: 1. Lovset's method

Explanation: Lovset's method : The baby is lifted slightly to cause lateral flexion.The trunk is rotated through 180deg keeping the back anterior and maintaining a downward traction. This brings the posterior arm to emerge under the pubic arch which is then hooked out The trunk is then rotated in reverse direction keeping the back anterior to deliver the anterior shoulder under the symphysis pubis Ref: Datta Obs 9e pg 363.